In Turner's syndrome which of the following is NOT seen :
1. Short stature
2. Widely spaced nipple
3. Webbed neck
4. Intellectual disability

Correct answer: 4. Intellectual disability

Explanation: Answer is D (Intellectual disability): Intellectual disability is seen in Down & Klinefelter's syndrome but not in Turner's syndrome. All other features mentioned as options may be seen in Turner's syndrome.